All of the following are features of catatonia except:
1. Automatic obedience
2. Cataplexy
3. Catalepsy
4. Negativism

Correct answer: 2. Cataplexy

Explanation: DSM-5 Diagnostic Criteria for Catatonia Associated with Another Mental Disorder Clinical picture is dominated by three or more of the following symptoms Stupor - state of unresponsiveness Catalepsy - passive induction of a posture held against gravity Waxy flexibility - slight, even resistance to positioning by examiner Mutism - no or very little verbal response Negativism - opposition or no response to external stimuli Posturing - maintain same posture for long duration Mannerism -odd, circumstantial caricature of normal actions Stereotypy - repetitive no -goal- directed movements Agitation - not influenced by external stimuli Grimacing Echolalia - mimicking's another's speech Echopraxia - mimicking 's another 's movements Cataplexy is a feature of narcolepsy.